Not true regarding the mimicry of Strpyogenes ?
1. Peptidoglycan and skin antigen
2. Cell wall protein and myocardium
3. Hyaluronic acid and synovial fluid
4. Group A carbohydrate and vascular intima

Correct answer: 4. Group A carbohydrate and vascular intima

Explanation: Ans. is 'd' i.e., Group A carbohydrate and vascular intima Antigen cross-reactivity Various streptococcal components (specially strep. pyogenes) exhibit antigenic cross reaction with different tissues of the human body.